All are neural crest derivatives except?
1. Cauda equina
2. Adrenal medulla
3. Melanoblasts
4. Odontoblasts

Correct answer: 1. Cauda equina

Explanation: Mnemonic:SOME GAP S-Schwann cells -Skeleton of face O-odontoblasts M-Meninges(pia and arachnoid) E-Endocardial cushion G-Ganglia(autonomic and dorsal root ganglia) A-Adrenal medulla -Aorticopulmonary septum P-Pigmant cells(melanocytes) -Pharyngeal arches(nerves and cartilage) -parafollicular c cells of thyroid